With respect to Facility Based Newborn Care (FBNC), which of the following facility exists at MCH Level I (SC & PHC) for care of newborn at birth:
1. Newborn Care Corner (NBCC)
2. Newborn Stabilization Unit (NBSU)
3. Special Newborn Care Unit (SNCU)
4. Nutritional Rehabilitation Centre (NRC)

Correct answer: 1. Newborn Care Corner (NBCC)

Explanation: Facility Based Newborn Care (FBNC) Newborn Care Facility MCH Level Health Facility Newborn Care Corner (NBCC) I SC, PHC Newborn Stabilization Unit (NBSU) II CHC, FRU Special Newborn Care Unit (SNCU) III District Hospital